H. pylori is found in?
1. Epithelial lining
2. Mucous layer
3. Lamina propria
4. Sub mucosa

Correct answer: 2. Mucous layer

Explanation: Mucous layer REF: Jawett's 24' edition chapter 18 H pylori grows optimally at a pH of 6.0-7.0 and would be killed or not grow at the pH within the gastric lumen. Gastric mucus is relatively impermeable to acid and has a strong buffering capacity. On the lumen side of the mucus, the pH is low (1.0-2.0) while on the epithelial side the pH is about 7.4 H pylori is found deep in the mucous layer near the epithelial surface where physiologic pH is present. H pylori also produce a protease that modifies the gastric mucus and further reduces the ability of acid to diffuse through the mucus. H pylori produce potent urease activity, which yields production of ammonia and further buffering of acid. The mechanisms by which H pylori causes' mucosal inflammation and damage are not well defined but probably involve both bacterial and host factors. The bacteria invade the epithelial cell surface to a limited degree